Number of beds in a CHC is:
1. 20
2. 30
3. 40
4. 50

Correct answer: 2. 30

Explanation: Ans. B: 30